Type of collagen found in basement membrane is ?
1. Type I
2. Type II
3. Type III
4. Type IV

Correct answer: 4. Type IV

Explanation: Ans. is `d i.e., Type IVTypes of collagen There are at least 28 distinct types of collagen made up of over 30 distinct polypeptide chains Type I is the most abundant collagen. The impoant ones are :?Type of collagen DistributionType] Skin, tendon, bone, corneaType 11 Aicular cailage, interveebral disc, Vitreous humorType III Fetal skin, cardiovascular systam, lung, reticular fiberType IV Basement membraneTypeV Placenta, skin